BRCA-1 postive women have ____% increased risk of breast carcinoma
1. 10
2. 20
3. 40
4. 60

Correct answer: 4. 60

Explanation: Ref: schwaz's principle of surgery 10th edition Pg no :514-515 Sabiston 20th edition pgno: 832